Coombs positive hemolytic anemia is associated with:
1. TTP
2. PAN
3. SLE
4. HUS

Correct answer: 3. SLE

Explanation: Coombs positive hemolytic anemia is a feature of autoimmune hemolytic anemia and is characteristically seen in Systemic lupus erythematous. Ref: Amit Ghosh, MD (2010), Chapter 24, "Rheumatology", In the book, "Mayo Clinic Internal Medicine Board Review", 9th Edition, New york, Page 907; Harrison's Principles of Internal Medicine, 16th Edition, Page 612